'Disinfectant' kills the following -
1. All microorganisms
2. Pathogenic microorganisms
3. Viruses and fungi
4. Non - pathogenic microorganisms

Correct answer: 2. Pathogenic microorganisms